A 40-year-old hypertensive male was admitted to the hospital with sudden onset of headache and altered sensorium. On Examinatiion his Blood Pressure was observed to be 220/110 mm Hg and the patient died four later. What is likely pathological finding in his kidneys -
1. Small kidney with granular surface
2. Small kidney with peticheal haemorrhages
3. Large kideny with waxy appearance
4. Large kidney with granular surface

Correct answer: 2. Small kidney with peticheal haemorrhages

Explanation: Ans. is 'b' i.e., Small kidney with peticheal haemorrhageso Sudden onset of headache and altered sensorium in a hypertensive patient with a blood pressure of 220/110 suggests a diagosis of malignant hypertension (Malignant Nephrosclerosis).o Malignant hypertension (Malignant Nephrosclerosis) is typically associated with multiple peticheal haemorrhages on the cortical surface of the kidney (flea bitten) from rupture of arterioles or glomerular capillaries